Boerhaave syndrome is the spontaneous rupture of which part of esophagus
1. Lower esophagus
2. Upper esophagus
3. Middle esophagus
4. Stomach

Correct answer: 1. Lower esophagus

Explanation: Ans. (a) Lower esophagusRef Bailey and Love 26th edition Page 992* Boerhaave syndrome is spontaneous rupture of Esophagus in lower end of Esophagus due to vomiting against tight glottis* Pleural effusion occurs rapidly and forms a collection in left side chest.